Global eradication of small pox was done on:-
1. 26th Oct 1977
2. 8th May 1980
3. 17th March 1980
4. 17th April 1977

Correct answer: 2. 8th May 1980

Explanation: Eradication is a global term, which means complete extermination of organism. Globally eradicated diseases/starins of organisms are: Small pox- Last case of small pox globally is listed on: 26th October 1977 & global eradication of small pox is done on 8th May 1980. Polio virus type-2 on 20th september 2015. Polio virus type-3 on 17th Ocoyober 2019. - Disease free status (India) is given to: Polio on 27/03/2014. Trachoma on 08/12/2017.